Treatment option for glaucoma includes all except
1. Trabeculectomy
2. Trabeculotomy
3. Vitrectomy
4. Viscoanulostomy

Correct answer: 3. Vitrectomy

Explanation: Ans. Vitrectomy